Arrange covering on peripheral nerve from inner to outer
1. Endoneurium, Epineurium, perineurium
2. Endoneurium, perineurium, Epineurium
3. Perineurium, Endoneurium, Epineurium
4. Epineurium, Endoneurium, perineurium

Correct answer: 2. Endoneurium, perineurium, Epineurium

Explanation: Covering on peripheral nerve from inner to outer is Endoneurium, perineurium, Epineurium INDERBIR SINGH'S TEXT BOOK OF HUMAN HISTOLOGY PAGE NO:171